True about thyroid storm:
1. Precipitated by infection in a hypothyroid patient
2. Treatment is delayed until thyroid function test results are known
3. Steroids should be withheld
4. Precipitated by surgery

Correct answer: 4. Precipitated by surgery

Explanation: Ans. (d) Precipitated by surgeryRef: Schwartz, 10th edition Page 1534* Thyroid storm is due to inactive preparation of thyrotoxicosis before surgery.